Axillary artery give rise to 6 main branches. Which of the following is the largest branch of axillary artery?
1. Lateral thoracic artery
2. Subscapular artery
3. Superior thoracic artery
4. Thoracoacromial artery

Correct answer: 2. Subscapular artery

Explanation: Subscapular artery is the largest branch of the axillary artery. It arise at the lower border of the subscapularis muscle and descend along the axillary border of the scapula. It give rise to two branches thoracodorsal artery and circumflex scapular artery.